Following are used in the treatment of acute gout except
1. Allopurinol
2. Indomethacin
3. Prednisolone
4. Colchichine

Correct answer: 1. Allopurinol

Explanation: The mainstay of treatment during an acute attack is the administration of anti-inflammatory drugs such as nonsteroidal anti-inflammatory drugs (NSAIDs), colchicine, or glucocorticoids. Urate-lowering drugs are generally not initiated during acute attacks but after the patient is stable and low-dose colchicine has been initiated to decrease the risk of the flares that often occur with urate lowering. The xanthine oxidase inhibitor allopurinol is by far the most commonly used hypouricemic agent and is the best drug to lower serum urate in overproducers, urate stone formers, and patients with renal disease. ref : Harrison 20th ed pg: 2234